Which of the following statements about oral anticoagulants is FALSE ?
1. They interfere with an early step in the synthesis of clotting factors
2. Irrespective of the dose administered, their anticoagulant effect has a latency of onset of 1-3 days
3. Their dose is adjusted by repeated measurement of prothrombin time
4. They are contraindicated during pregnancy

Correct answer: 1. They interfere with an early step in the synthesis of clotting factors